Turner syndrome - karyotyping is?
1. 45, X0
2. 46 X0
3. 47 XXX
4. Trisomy 21

Correct answer: 1. 45, X0

Explanation: Ans. is 'a' i.e., 45 XO 45X0 Lymphadema of dorsum of hand & fat Loose skin fold at nape of neck Short stature Short Neck (with webbing of neck) Anomalies ear Broad shield like chest with widely spaced small nipple Renal anomalies (Horse-shoe, souble or cleft renal pelvis) Coart of aorta